Fanconi's syndrome is caused by-
1. Cephalosporins
2. Chloramphenicol
3. Decreased pseudocholinesterase
4. Old and degraded tetracycline

Correct answer: 4. Old and degraded tetracycline

Explanation: Ans. is 'd' i.e., Old and degraded tetracycline o A fanconi syndrome like condition is produced by outdated tetracyclines due to proximal tubular damage caused by degraded products ---> epitetracycline, anhydrotetracycline, and epianhydrotetracycline.